'Indifferent' fibers are
1. Elastic fibers
2. Oxytalan fibers
3. Collagen fibers
4. None of the above

Correct answer: 3. Collagen fibers